The crowns and roots of primary molar at their cervical portions are more
1. Slender mesiodistally
2. Slender anteroposteriorly
3. Bulkier mesiodistally
4. Bulkier anteroposteriorly

Correct answer: 1. Slender mesiodistally